Nihilistic ideas are seen in -
1. Depression
2. Schizophrenia
3. Mania
4. OCN

Correct answer: 1. Depression

Explanation: Delusions of nihilism (nihilistic ideas) are characteristic of major depression.